A 4.2 kgs baby born to uncontrolled diabetic mother. The following condition will not occur in the baby:
1. Hypercalcemia
2. Hypoglycemia
3. Hyperbilirubinemia
4. Polycythaemia

Correct answer: 1. Hypercalcemia

Explanation: Ans. (A) HypercalcemiaNeonatal Complication :HypoglycaemiaRespiratorydistress syndromeHyperbilirubinemiaHypocalcemiaHypomagnesemia .PolycythemiaCardiomyopathy